A chest physician performs bronchoscopy in the procedure room of the out patient department. To make the instrument safe for use in the next patient waiting outside, the most appropriate method to disinfect the endoscope is by -
1. 70 % alcohol for 5 min
2. 2% glutaraldehyde for 20 min
3. 2% formaldehyde for 10 min
4. 1% sodium hypochlorite for 15 min

Correct answer: 2. 2% glutaraldehyde for 20 min

Explanation: Glutaraldehyde is especially effective against the tubercle bacilli, fungi, and viruses. It is less toxic and irritant to eyes and skin than formaldehyde. It has no deleterious effects on the cement or lenses of instruments such as cystoscope and bronchoscopy It can be safely used to treat corrugated rubber,nanestheticubes, face masks, plastic endotracheal tubes, metal instruments a, d polythene tubings REF:Ananthanarayan and Panicker's Textbook ofMicrobiology 8th Edition pg no:36